Which of the following test is the best diagnosis in a patient with typhoid?
1. Blood culture
2. Widal
3. Stool culture
4. Urine culture

Correct answer: 1. Blood culture

Explanation: Other than a positive blood culture, no specific laboratory test is diagnostic for enteric fever. Option 2- The possible presence of cross reactive antibodies limits the use of serological test in the diagnosis of Salmonella. Option 3, 4: Stool/Urine culture can be used for typhoid carriers.